OCP's cause all except:
1. Dysmenorrhea
2. Mastalgia
3. Nausea
4. Chloasma

Correct answer: 1. Dysmenorrhea